Birbeck granules in the cytoplasm are seen in -
1. Mast cells
2. Langerhan's cells
3. Thrombocytes
4. Myelocytes

Correct answer: 2. Langerhan's cells